Histopathologic features of bile duct obstruction are?
1. Proliferation of bile duct
2. Bile lakes
3. Portal fibrosis
4. All

Correct answer: 4. All

Explanation: Ans. is 'a' i.e., Proliferation of bile duct; `b' i.e., Bile lakes; 'c' ie., Portal fibrosisCholestasisCholestasis is condition where bile cannot flow from the liver to duodenum.o It may result from : ?1.Hepatocellular dysfunction --> Hepatocytes are unable to secrete bile into bile canaliculi.2.Biliary obstruction Intrahepatic Extrahepatic --> Bile duct obstruction.Bile duct obstruction results in ?o Accumulation of bile pigment within hepatic parenchymao Droplets of bile pigment in hepatocyte took on a fine foamy appearance -3 feathery degeneration. o Green-brown plugs of bile in dilated bile canaliculi.o Destention of upstream bile ducts end ductules by bile.o Proliferation of bile duct epithelial cells.o Looping and reduplication of bile ducts and ductules.o Bile-lakes --> Extravasated bile plus cellular debris.o Portal tract edema and periductal infiltrates of neutrophils.